In Wilson disease, hepatic copper content usually exceeds_____________ dry weight
1. 200 mg/g
2. 250 mg/g
3. 300 mg/g
4. 350 mg/g

Correct answer: 2. 250 mg/g

Explanation: In Wilson's disease, hepatic copper content usually exceeds 250 mg/g dry weight (>4 mmol/g dry weight is the best biochemical evidence for Wilson disease).